Appearance of Breast bud is known as:
1. Menarche
2. Thelarche
3. Pubarche
4. Anarche

Correct answer: 2. Thelarche

Explanation: Ans. B i.e. Thelarche Thelarche is the onset of secondary (postnatal) breast development, usually occurring at the beginning of puberty in girls.